Pulmonary capillary pressure is:
1. 5 mm Hg
2. 10 mm Hg
3. 20 mm Hg
4. 32 mm Hg

Correct answer: 2. 10 mm Hg

Explanation: The average pulmonary capillary pressure is 10 mm Hg. Pulmonary capillary wedge pressure (which reflects LA pressure) is 5 mm Hg.